Chronic complication of malaria -a) Splenomegallyb) Nephrotic syndromec) Pneumoniad) Hodgkins's disease
1. ac
2. a
3. ab
4. bc

Correct answer: 3. ab